Facebow is indicated when
1. Balanced occlusion is desired
2. Vertical dimension is subjected to change
3. Both
4. None

Correct answer: 3. Both

Explanation: The need to use a facebow in complete dentures has been debated with many dentists preferring not to use the same. It is seen that not using the facebow only leads to minor errors in occlusion, which can be corrected intraorally, during the delivery of the denture. In fact, studies comparing the patient's response to complete dentures with or without facebow transfer, failed to show any significant clinical advantage with facebow use. In this context, facebow may be indicated when:

Balanced occlusion is desired.
Vertical dimension is subject to change.